Drug indicated for hyperthyroidism during pregnancy:
1. Prophyltiouracil
2. Carbimazole
3. Iodide
4. Radioactive iodineEnalapril

Correct answer: 1. Prophyltiouracil

Explanation: Ans. A: Prophyltiouracil The key antithyroid drugs - also known as thionamides -include propylthiouracil (PTU), methimazole (MMI) and carbimazole. Though effective in pregnant women, babies of mothers taking antithyroid drugs have a high risk of goiter, hypothyroidism or even cretinism. However, low doses of propylthiouracil is preferred in pregnancy: its greater protein binding allows less transfer to the fetus. For the same reason it is to be preferred in the nursing mother.